Which nerve is responsible for referred pain to the ear?
1. IX
2. III
3. XI
4. XII

Correct answer: 1. IX

Explanation: (a) IX nerve, i.e. the glossopharyngeal nerve(Ref. Scott Brown, 8th ed., Vol 2, page 535)The rest of the nerves do not supply the ear.